The most common cause of ambiguous genitalia in a newborn is:
1. 21 hydroxylase deficiency
2. 11b -hydroxylase deficiency
3. 17a -hydroxy alse deficiency
4. 3 b-hydroxysteroid deficiency

Correct answer: 1. 21 hydroxylase deficiency

Explanation: More than 90% of congenital adrenal hyperplasia is caused by 21-hydroxylase deficiency. Incidence is 1 in 15000-20000 births in most populations. Presents with female pseudohermaphroditism or post natal virilization. Ref: Kliegman, Behrman, Jenson, Stanton, (2007), Chapter 577, "Congenital Adrenal Hyperplasia and Related Disorders", In the book, "Nelson's Textbook of Pediatrics", Volume 2, 18th Edition, New Delhi, Pages 2360-2364